Which of the following occurs in both cytoplasm and mitochondria:
1. Glycolysis
2. Gluconeogenesis
3. Glycogenolysis
4. Glycogenesis

Correct answer: 2. Gluconeogenesis

Explanation: Ans. (b) GluconeogenesisRef : Harper's Biochemistry 30th edn. /142-144* Glycolysis occurs in cytoplasm.* There are two major sites for gluconeogenesis, the liver and the kidneys.* The liver accounts for 90% of gluconeogenesis in the body and the remaining 10% occur in the kidney and other tissues of the body.* The liver and kidneys maintain the glucose level in the blood so that the brain, muscle and red blood cells have sufficient glucose to meet their metabolic demands.Also KnowCycle occurs in both cytoplasm and mitochon- Idria-* Gluconeogenesis* Urea cycle* Heme synthesis